Daisy head appearance of colonies of Corynebacterium diphtheria on blood tellurite agar is shown by
1. Gravis biotype
2. Intermedius biotype
3. Mitis biotype
4. None of the above

Correct answer: 1. Gravis biotype

Explanation: Mcleod's classification - Based on colony morphology on Tellurite medium and properties like biochemical reactions and severity of disease, Three distinct cultural types aremitis,intermedius, andgravis GRAVIS INTERMEDIUS MITIS Colony on tellurite blood agar daisy head colony frog's egg colony poached egg colony